Prolonged use of the following drug has been implicated in the causation of subacute myelo–optic neuropathy (SMON) :
1. Diloxanide furoate
2. Quiniodochlor
3. Emetine
4. Furazolidone

Correct answer: 2. Quiniodochlor